Profuse watery diarrhea in an immuno-compromised child is due to:
1. Cryptosporidium
2. Amoeba
3. Giardia
4. Lactose intolerance

Correct answer: 1. Cryptosporidium

Explanation: Cryptosporidium induces severe and protracted diarrhea in AIDS patients.